Aorta enters abdomen at the level of:
1. T8
2. T10
3. Til
4. T12

Correct answer: 4. T12

Explanation: Ans: d (T12) Ref: Esophageal opening-TI10, venacaval opening-T8- Chaurasia, 3rd edi., Vol-1, Pg. 161This is a very frequently asked question.AperturesLevelsVenecavalT8EosophagealT10AorticT12Important points regarding aperturesAortic opening is an osseo aponeurotic opening that strictly speaking to lies behind diaphragm.Aortic opening The aorta Thoracic duct Azygous veinVena caval apertureIVC Right phrenic nerve Eosophageal apertureLeft vagus Eosophagus Eosophageal br of left gastric artery Rt vagusPlease note: Greater and lesser splanchnic nerves transverse through apertures within the crura of diaphragm and do not pass behind the diaphragm.